Plumbism is?
1. Lead poisoning
2. Mercury poisoning
3. Thallium poisoning
4. Copper poisoning

Correct answer: 1. Lead poisoning

Explanation: Ans. is 'a' i.e., Lead poisoning o Plumbism is chronic lead poisoning.